Which one of the following gastrointesinal disorders predisposes to urolithiasis
1. Peutz - jegher's syndrome
2. Short bowel syndrome
3. Familial polyposis coli
4. Ulcerative colitis

Correct answer: 2. Short bowel syndrome

Explanation: .Outcome of Short Bowel Syndrome * Severe malabsorption. * Severe dehydration. * Gallstone formation due to altered bile metabolism. * Urinary calculi due to increased oxalate level. * Water and electrolyte imbalance. * Diarrhoea is common. * Recurrent bacterial enteritis. * Fulminant hepatic failure often can occur. ref:SRB's manual of surgery,ed 3,pg no 814